Which of the following immunosuppressants is not used for the treatment of cancers ?
1. Cyclophosphamide
2. Cyclosporine
3. Methotrexate
4. 6–Mercaptopurine

Correct answer: 2. Cyclosporine